All are true about Cancer breast, except:
1. Affected sibling is a risk factor
2. Paget's disease of nipple is intraductal type of CA
3. Common in aged nulliparous
4. Increased incidence with prolonged breast feeding

Correct answer: 4. Increased incidence with prolonged breast feeding

Explanation: Ans. (d) Increased incidence with prolonged breast feeding* Paget's Disease is a superficial manifest of an underlying Intra ductal carcinoma breast